Antral puncture is done through-
1. Superior meatus
2. Inferior meatus
3. Middle meatus
4. All

Correct answer: 2. Inferior meatus

Explanation: Proof puncture (Antral puncture) 

This procedure involves puncturing the medial wall of the maxillary sinus in the region of the inferior meatus and irrigating the sinus.

Indications
1)   Chronic and subacute maxillary sinusitis with the dual purpose of :

Confirming the diagnosis and
Washing out the pus

2)   To collect the specimen of the antral contents for culture and sensitivity, or cytological examination to exclude early malignancy.
Contraindications

Children less than 12 years of age.
Acute maxillary sinusitis as it may lead to osteomyelitis
Fracture of maxilla as fluid may pass through fracture line.
Diabetes